A 35 year old female presents with cervical and axillary lymphadenopathy. There is history of fever and drenching night sweats. She is diagnosed to have hodgkin's lymphoma. What is the stage of the disease?
1. II-A
2. II-B
3. IIE-A
4. IIE-B

Correct answer: 2. II-B

Explanation: Ans. (b) II-B(Ref: Robbins 9th/pg 606-611/ 8th pg 616-621)Involvement of two or more lymph node regions on the same side of diaphragm alone (II) or localized involvement of an extra-lymphatic organ or site (IIE).Presence of (B) symptoms: QUnexplained fever,Drenching night sweats, and/orUnexplained weight loss >10%